The size of Respirable dust is -
1. 1-5 microns
2. 5-10 microns
3. 15 microns
4. 20 microns

Correct answer: 1. 1-5 microns

Explanation: - dust particles smaller than 5 microns are directly inhaled into the lungs and are retained there. This fraction of dust is called respirable dust. - it is mainly responsible for pneumoconiosis. Reference : Park's textbook of preventive and social medicine, 23rd edition, pg no:805